Which of the following is true about an antrochoanal polyp?
1. Common in adults
2. Commonly Singular
3. Commonly bilateral
4. Is usually allergic

Correct answer: 2. Commonly Singular

Explanation: Ans. is 'b' i.e., Commonly Singular Antrochoanal PoIvdEthmoidal PolypCommon in childrenCommon in adultsInfectionAllergySolitaryMultipleUnilateralBilateralMaxillary sinus near the ostiumEthmoidal sinuses, uncinate process, middle turbinate and middle meatusGrows backward to the choanaMostly grow anteriorly and may present at the naresPolypectomy; endoscopic removal orPolypectomyCaldwell-Luc operation if recurrentEndoscopic surgery or ethmoidectomy (Which may be intranasal, extranasal or transantral)